Herniation through Foramen of Morgagni is seen in children. Foramen of Morgagni refers to an opening in:
1. The brain
2. The lesser omentum
3. The skull
4. The diaphragm

Correct answer: 4. The diaphragm

Explanation: The foramen of Morgagni occurs at the junction of the septum transversum and the anterior thoracic wall. This anterior, central diaphragmatic defect accounts for only 2% of diaphragmatic hernias. It may be parasternal, retrosternal, or bilateral. The defect is closed by suturing the posterior rim of diaphragm to the posterior rectus sheath, since there is no anterior diaphragm. Ref: Albanese C.T., Sylvester K.G. (2010). Chapter 43. Pediatric Surgery. In G.M. Dohey (Ed), CURRENT Diagnosis & Treatment: Surgery, 13e.